Arrange the following sequentially in the ascending order of occurrence with regard to signal transmission at neuromuscular junction: A. Neurotransmitter degradation B. Exocytosis C. Calcium influx D. End Plate potential
1. A-C-B-D
2. C-B-D-A
3. C-A-B-D
4. B-D-A-C

Correct answer: 2. C-B-D-A

Explanation: In order of signal transmission at neuromuscular junction: C. Calcium influx - B. Exocytosis - D. End Plate potential - A. Neurotransmitter degradation